H. influenza requires the following growth factor:
1. Ammonia
2. Nicotinic acid
3. Glycine
4. Haemin

Correct answer: 4. Haemin

Explanation: Ans. D i.e. Haemin